The engaging diameter in deflexed head is:
1. Biparietal dirnaeter
2. Occipitofrontal diameter
3. Suboccipito bregamatic diameter
4. Bitemporal diameter

Correct answer: 2. Occipitofrontal diameter

Explanation: Occipitofrontal diameter